Defect in type II hyperlipidemia
1. Apo-E
2. Lipoprotein lipase
3. LDL receptor
4. None

Correct answer: 3. LDL receptor

Explanation: Familial hypercholesterolemia (type Ha) is due to deficiency of functional LDL receptors as a result of different types of mutations.